What is the colour of postmortem lividity in case of cyanide poisoning?
1. Pink
2. Chocolate brown
3. Bluish green
4. Brick red

Correct answer: 4. Brick red

Explanation: Cyanide poisoning - Brick red
Carbon monoxide poisoning - cherry red